Ketone bodies are formed in:
1. Liver
2. Pancreas
3. Kidneys
4. Lungs

Correct answer: 1. Liver

Explanation: Ketone bodiesThey are three different water-soluble biochemicals that are produced as by-products when fatty acids are broken down for energy in the liver.Two of the three are used as a source of energy in the heart and brain while the third (acetone) is a waste product excreted from the body.In the brain, they are a vital source of energy during fasting.The three endogenous ketone bodies are- Acetone,Acetoacetic acid, and- Beta-hydroxybutyric acid